All these structures pass through Sinus of Morgagni except:
1. Ascending palatine artery
2. Glossopharyngeal nerve
3. Eustachian tube
4. Levator palatini muscle

Correct answer: 2. Glossopharyngeal nerve

Explanation: Ans. B. Glossopharyngeal nerveIn The pharynx, the sinus of Morgagni is the enclosed space between the upper border of the superior pharyngeal constrictor muscle, the base of the skull and the pharyngeal aponeurosis.Structures passing through this sinus are:1. Cartilaginous part of Auditory tube2. Levator veli palatini muscle3. Ascending palatine artery4. Palatine branch of Ascending pharyngeal artery